Dohlman surgery in Zenker's diverticulum is:-
1. Endoscopic stapling of septum
2. Endoscopic suturing of pouch
3. Endoscopic electrocautery technique
4. Laser division of pouch

Correct answer: 3. Endoscopic electrocautery technique

Explanation: Killian's Dehiscence/ Pharyngeal Pouch - A pharyngeal pouch is a herniation of pharyngealmucosa through a defect (usually posterior) in the pharyngealwall. The terms Zenker's diverticulum and hypopharyngealdiverticulum are also used.The most frequent location of the herniation is theposterior wall of the pharynx through an area of naturalweakness between the two parts of the inferior constrictormuscle i.e. Thyropharyngeus and Cricopharyngeus. Diagnosis: Barium swallow Treatment:1. Dohlman's operation -The partition wall between the esophagus and pouch is divided by diathermy through endoscope. Done in poor risk debilitated patients. 2. Endoscopic laser treatment 3. Excision of pouch and cricopharyngeal myotomy 4. Endoscopic stapling technique